The dangerous particle size causing pneumoconiosis varies from ?
1. 100-150 m
2. 50-100 m
3. 10-50 m
4. 1-5 m

Correct answer: 4. 1-5 m

Explanation: Ans. is 'd' i.e., 1-5 m Pneumoconiosis o Pneumoconiosis is an occupational lung disease caused by the inhalation of dust. o The development of pneumoconiosis depends on - (i) The amount of dust retained in the lungs and airways. (ii) The size, shape of the particles --> The most dangerous particle ranges from Ito 5 m in diameter because they may reach the terminal small airway and air sacs and settle in their linings. (iii) Particle solubility and physiochemical reactivity. (iv) Additional effects of other irritants (e.g. concomitant smoking). Important pneumoconiosis o Cool worker's pneumoconiosis (CWP) --> Coal dust o Silicosis (grinder's disease) --> Silica dust o Asbestosis --> Asbestos dust o Beryliosis --> Berylium dust o Siderosis --> Iron dust o Byssinosis --> Cotton dust